The contents of the paralingual space do NOT include the:
1. Hypoglossal nerve
2. Lingual artery
3. Lingual nerve
4. Submandibular gland

Correct answer: 2. Lingual artery

Explanation: The paralingual space is a space inside the floor of the mouth. It is bounded by the mylohyoid muscle, the lateral tongue, the hyoid bone, and the oral mucosa. The paralingual space contains the deep portion of the submandibular gland, the lingual nerve and submandibular ganglion, the sublingual gland and fold, and the hypoglossal nerve. The lingual artery is not in the paralingual space. Ref: Morton D.A., Foreman K.B., Albertine K.H. (2011). Chapter 24. Oral Cavity. In D.A. Morton, K.B. Foreman, K.H. Albertine (Eds), The Big Picture: Gross Anatomy.